Which of the following is a topical antifungal agent?
1. Benzyl benzoate
2. Brimetenide
3. Butenafine
4. Posconazole

Correct answer: 3. Butenafine

Explanation: Ans. is 'c' i.e., Butenafine Butenafine:* Butenafine is a benzylamine congener of the terbinafine, which acts by inhibiting the enzyme squalene epoxidase.* Used only topically for treatment of dermatophytosis.* Efficacy in tinea cruris/corporis/pedis is similar to that of terbenafine.